Stain used for maturity assessment of amniotic fluid cells is:
1. Congo red
2. Lehman's stain
3. Sudan red stain
4. Nile blue sulphate

Correct answer: 4. Nile blue sulphate

Explanation: Ans. D. Nile blue sulphateWith advancing maturity increasing numbers of cornified skin cells are shed into the amniotic fluid by the fetus.Because some come from sebaceous glands they contain lipid which when stained with Nile blue sulphate become orange and when 10% of cells from an amniocentesis sample of fluid stain orange the pregnancy has reached at least 38 weeks and it has reached term or beyond when 50% react in this way.